All of the following are features of Mobiz type I block except -
1. Constant PR interval
2. Normal QRS morphology
3. Regular atrial rhythm
4. Atrial rate - ventricular rate

Correct answer: 1. Constant PR interval